Which of the following is not true about fibroblasts?
1. Secrete & Synthesize collagen
2. Derived from blood precursor cells
3. Migrate to wound along fibres used as scaffold
4. Large fibrin clot acts as barrier to fibroblast penetration

Correct answer: 2. Derived from blood precursor cells